Dietery factors associated with colon carcinoma -
1. High fiber
2. Low fiber
3. Smoked fish
4. All

Correct answer: 2. Low fiber

Explanation: Ans. is 'b' i.e., Low fibero A high incidence of colorectal cancer occurs in economically prosperous, upper socioeconomic class. This observation led to attention on environmental factors, particularly diet in the etiology of colon cancer.o Dietary factors associated with colon cancers are :(a) Animal fato Diet high in animal fats such as found in red meat (beef, pork, lamb) and processed meat (Sausages, hams & bacan etc) increases the risk of colon cancer.o Consumption of fish (including fresh, canned, salted and smoked fish) decrease the risk of colon cancer. This is because of the anti-cancer activity of omega-3 fatty acids found in fishes.o Note that consumption of chicken has no effect on colon cancer.(b) Fibres --> A high fibre diet has protective effect and a low fibre diet increases the risk.(c) Alcohol - is also a risk factor.(d) Ingestion of calcium, selenium, vitamin A, C & E, carotenoids, and plant phenols decrease the risk of colon cancer.(e) Insulin resistanceo A high calorie diet coupled with physical inactivity leads to excess weight gain and insulin resistance which further causes increased levels of insulin and insulin-like growth factors type I (IGF-I). This growth factor appears to stimulate proliferation of intestinal mucosa.